True about penderd's syndrome ?
1. Blindness
2. Conductive deafness
3. Sensorineural deafness
4. All of the above

Correct answer: 3. Sensorineural deafness

Explanation: Ans. is 'c' i.e., Sensorineural deafness Important features of Pendered syndrome: Congenital disorder Mutation in gene SLC 26 A4. Which codes for a protein called pendrin (helps in transport of ions across membrane). Impaired activity of Pendrin is seen in inner ear and thyroid gland. Bilateral sensorineural hearing loss. Goiter. Sometimes hypothyroidism. Occasionally vestibular dysfunction. No specific treatment.